Most common presentation of radiation carditis is –
1. Pyogenic Pericarditis
2. Pericardial Effusion
3. Myocardial Fibrosis
4. Atheromatous Plaque

Correct answer: 2. Pericardial Effusion

Explanation: Pericardial involvement is the most common and includes pericardial effusion and constrictive pericarditis.